Pulmonary veins develops from:
1. 6th aortic arch
2. Primitive left atrium
3. Left common cardinal vein
4. Left vitelline vein

Correct answer: 2. Primitive left atrium

Explanation: Development of pulmonary veinsAt 27-29 days' gestation, the primitive pulmonary vein appears as an endothelial out-pouching from either the posterior superior left atrial wall or from the central part of the sinus venosus proximal to the primordial lung venous plexus.Connection between the primitive pulmonary vein and pulmonary venous plexus occurs by 30 days' gestation.The common pulmonary vein enlarges and incorporates into the left atrium, and, normally, the pulmonary venous part of the splanchnic plexus gradually loses its connection with the cardinal and umbilicovitelline veins.